7 day old MI, the most sensitive biochemical marker-
1. Troponin I  or Troponin T
2. CPK MB
3. LDH
4. Myoglobin

Correct answer: 1. Troponin I  or Troponin T